BIRADS stage 5 is
1. Negative
2. Probably benign
3. Suspicious abnormality
4. Highly suggesve of malignancy

Correct answer: 4. Highly suggesve of malignancy

Explanation: Source : Internet